A 17 year old female underwent a fine needle aspiration cytology (FNAC) for a lump in the breast which was well defined, non-tender and mobile. The diagnosis of a benign lesion can be considered by which of the following pathological feature -
1. Dyschohesive ductal epithelial cells without cellular fragments
2. Tightly arranged ductal epithelial cells with dyscohesive bare nuclei
3. Stromal predominance with hyperplasia of spindle cells
4. Polymorphism with single or arranged ductal epithelia cells

Correct answer: 2. Tightly arranged ductal epithelial cells with dyscohesive bare nuclei

Explanation: . Tightly arranged ductal epithelial cells with dyscohesive bare nuclei